Medial border of cubital fossa is formed by:
1. Brachioradialis
2. Pronator teres
3. Biceps brachii
4. Brachialis

Correct answer: 2. Pronator teres

Explanation: Ans. B. Pronator teresThe cubital fossa is the triangular area on the anterior view of the elbow.Boundaries-a. Superior boundary -- an imaginary horizontal line connecting the medial epicondyle of the humerus to the lateral epicondyle of the humerusb. medial (ulnar) boundary -- lateral border of Pronator Teres muscle originating from the medial epicondyle of the humerus.c. lateral (radial) boundary -- medial border of Brachioradialis muscle originating from the lateral supraepicondylar ridge of the humerus.d. apex- it is directed interiorly, and is formed by the meeting point of the lateral and medial boundaries